QT interval is shortens in
1. Hypocalcaemia
2. Hypokalemia
3. Hypercalcaemia
4. Hyperkalemia

Correct answer: 3. Hypercalcaemia

Explanation: Hypocalcemia typically prolongs the QT interval (ST portion), whereas hypercalcemia shortens it . Digitalis glycosides also shorten the QT interval, often with a characteristic "scooping" of the ST-T-wave complex (digitalis effect). Ref Harrison 20th edition pg 1567